Cavernous sinus receives blood from -
1. Superior ophthalmic vein
2. Superior petrosal sinus
3. Inferior petrosal sinus
4. Basilar plexus of veins

Correct answer: 1. Superior ophthalmic vein

Explanation: TRIBUTARIES OF CAVERNOUS SINUS I. FROM ORBIT 1. Superior ophthalmic vein (mostly)- bidirectional, can drain septic emboli into cavernous sinus leading to thrombosis 2. Inferior ophthalmic vein 3. Central vein of the retina II. FROM BRAIN 1. Superficial middle cerebral vein 2. Inferior cerebral veins from temporal lobe III. FROM MENINGES 1. Sphenoparietal sinus (drains meninges) DRAINING CHANNELS 1. Superior petrosal sinus 2. Inferior petrosal sinus 3. Emissary vein to pterygoid venous plexus.